Measurements of the pH in capillary scalp blood in an infant shows the fetus in serious distress. Emergency cesarean is done. What is the pH value in capillary scalp blood which determines its severity?
1. < 7.2
2. > 7.4
3. > 7.1
4. None of the above

Correct answer: 1. < 7.2

Explanation: If the pH is greater than 7.25, labor is observed. If the pH is between 7.20 and 7.25, the pH measurement is repeated within 30 minutes. If the pH is less than 7.20, another scalp blood sample is collected immediately, and the mother is taken to an operating room and prepared for surgery. Delivery is performed promptly if the low pH is confirmed. Ref: Cunningham F.G., Leveno K.J., Bloom S.L., Hauth J.C., Rouse D.J., Spong C.Y. (2010). Chapter 18. Intrapartum Assessment. In F.G. Cunningham, K.J. Leveno, S.L. Bloom, J.C. Hauth, D.J. Rouse, C.Y. Spong (Eds), Williams Obstetrics, 23e.